Best prognosis in nerve injury
1. Neuropraxia
2. Axonotemesis
3. Neurotemesis
4. Complete transaction

Correct answer: 1. Neuropraxia

Explanation: Neurapraxia is a disorder of the peripheral nervous system in which there is a temporary loss of motor and sensory function due to blockage of nerve conduction, usually lasting an average of six to eight weeks before full recovery.Ref: Ganong's review of medical physiology 23rd edition